The ZYA region of the lac operon will be maximally expressed if:
1. Cyclic AMP levels are low
2. Glucose and lactose are both available
3. The attenuation stem-loop is able to form
4. The CAP site is occupied and the operator site is free

Correct answer: 4. The CAP site is occupied and the operator site is free

Explanation: When the cAMP levels are low- there is no binding of CAP to CAP site. | No favourable interaction for RNA polymerase. | Lac operon is not expressed. - option a is excluded. When glucose is available, Lac operon is not expressed Attenuation is seen in tryptophan operon, not Lac operon For optimal expression of lac operon, The CAP site should be occupied the operator site should be free of repressor.